Osteomyelitis in sickle cell anemia is due to DELETE
1. Salmonella
2. Streptococcus
3. Hemophilus
4. Neisseria

Correct answer: 1. Salmonella

Explanation: Most common cause of osteomyelitis in sickle cell anemia is salmonella Refer Maheshwari 6tg/e p 168